Depth of anaesthesia can be best assessed by
1. Pulse oximeter
2. End tidal Pco2
3. ABG analysis
4. Bispectral index

Correct answer: 4. Bispectral index

Explanation: Monitors used to assess depth of anesthesia: Electroencephalography (EEG) Bispectral index (BIS) Entropy Evoked responses (EP) - Motor EP, sensory EP (Auditory, visual, brain stem evoked potential) Patient safety index Narcotrend